The commonest pre-malignant condition of oral cancer is
1. Leukoplakia
2. Aphthous ulcer
3. Lichen planus
4. Erythro-leukoplakia

Correct answer: 1. Leukoplakia

Explanation: Leukoplakia is the most common (~ 85%) of the premalignant lesions of the oral cavity.